Which anti - TB drug causes ocular problem?
1. Rifampin
2. Ethambutol
3. Streptomycin
4. Pyrazinamide

Correct answer: 2. Ethambutol

Explanation: Ans. is 'b' i.e., Ethambutol Important educational points* First line antitubercular drugs causing hyperuricemia - Ethambutol, pyrazinamide.* Drugs causing peripheral neuropathy - streptomycin, INH, Ethambutol, ethionamide.* Drugs causing hepatitis - INH, rifampicin, pyrazinamide, ethionamide.* Optic neuritis - INH, ethambutol, ethionamide.* First line antitubercular drugs which are not hepatotoxic (does not require dose adjustment in liver diseases) - streptomycin, ethambutol.* Drugs not requries dose adjustment in renal failure - rifampicin, rifabutin rifapentine.* Hypothyroidism can be caused by - PAS, ethionamide.* Ethambutol and streptomycin do not cross BBB.* Active against extracellular mycobacteria: Rifampicin (Tuberculocidal), INH (tuberculocidal), streptomycin (tuberculocidal)* Active against intercellular mycobacteria: Rifampicin (Tuberculocidal), INH (tuberculocidal), Pyrazinamide (tuberculocidal)